Corticosteroid of choice in Acute Adrenal Insufficiency is?
1. Fludrocortisone
2. Hydrocortisone
3. Dexamethasone
4. Prednisolone

Correct answer: 2. Hydrocortisone

Explanation: Hydrocortisone REr: Katzung 9th edition page 648, KDT 6th edition page 283 "Acute Adrenal Insufficiency: Hydrocortisone sodium succinate 100 mg IV every 8 hourly is REF: Katzung given until the patient is stable" "In Acute adrenal insufficiency, Hydrocortisone or Dexamethasone are given IV first as bolus & then as infusion"